What is the drug of choice for Mycoplasma pneumoniae?
1. Penicillin
2. Tetracycline
3. Cefuroxime
4. Erythromycin

Correct answer: 4. Erythromycin

Explanation: M. Pneumonia causes Atypical pneumonia Other organisms causing atypical pneumonia are :- 1. Mycoplasma pneumonia (D.O.C -Azithromycin) 2. Legionella pneumophila 3. Chlamydia pneumoniae 4. Influenza, RSV, adenovirus, Meta Pneumo virus - All these organisms are resistant to b lactams Treatment options for acute M. pneumoniae infection include Macrolides (e.g., oral azithromycin, 500 mg on day 1, then 250 mg/d on days 2-5),(DOC) Tetracyclines (e.g., oral doxycycline, 100 mg twice daily for 10-14 days), and Respiratory fluoroquinolones. However, ciprofloxacin and ofloxacin are not recommended because of their high minimal inhibitory concentrations against M. pneumoniae isolates and their poor performance in experimental studies.